Lipogenesis favored by which hormone?
1. Insulin
2. Glucagon
3. Cortisol
4. None

Correct answer: 1. Insulin

Explanation: Lipogenesis Lipogenesis is favored by providing more acetyl CoA by pyruvate dehydrogenase reaction Insulin increases the activity of acetyl CoA carboxylase and provides glycerol for esterification of fatty acids to TAG Insulin also provides NADPH by increasing the GPD activity of the HMP shunt pathwayRef: Textbook of Biochemistry 7th Edition DM Vasudevan, page no: 321